Which of the following syndromes have mitochondrial inheritance?
1. Leigh's syndrome
2. NARP syndrome
3. MELAS syndrome
4. All of the above

Correct answer: 4. All of the above

Explanation: All are example of mitochondrial inheritance.